All of the following are true about phrenic nerve,except -
1. It is purely motor nerve
2. It arise briefly from C4 spinal nerve
3. It is formed at the lateral order of scalenus anterior
4. Accessory phrenic is commonly a branch from the nerve to subclavius

Correct answer: 1. It is purely motor nerve

Explanation: Phrenic nerve arises from ventral rami of C3-5 and had both motor and sensory branches.